Glucosuria occurs when the venous blood glucose concentration exceeds:
1. 100 mmol/L
2. 180 mmol/L
3. 10 mmol/L
4. 18 mmol/L

Correct answer: 3. 10 mmol/L

Explanation: The capacity of the tubular system to reabsorb glucose is limited to a rate of about 2 mmol/min, and in hyperglycemia (as occurs in poorly controlled diabetes mellitus), the glomerular filtrate may contain more glucose than can be reabsorbed, resulting in glucosuria. Glucosuria occurs when the venous blood glucose concentration exceeds about 10 mmol/L; this is termed the renal threshold for glucose. Ref: Bender D.A., Mayes P.A. (2011). Chapter 20. Gluconeogenesis & the Control of Blood Glucose. In D.A. Bender, K.M. Botham, P.A. Weil, P.J. Kennelly, R.K. Murray, V.W. Rodwell (Eds), Harper's Illustrated Biochemistry, 29e.